A 25-year-old man presented with fever and cough for two months. CT chest showed bilateral upper lobe fibrosis and mediastinal enlarged necrotic nodes with peripheral rim enhancement. What is the most likely diagnosis?
1. Sarcoidosis
2. Tuberculosis
3. Lymphoma
4. Silicosis

Correct answer: 2. Tuberculosis

Explanation: Ans. Tuberculosis